The following are Components of Brown sequard syndrome except
1. Ipsilateral extensor plantar response
2. Ipsilateral pyramidal tract involvement
3. Contralateral spmothalamic tract involvement
4. Contralateral posterior column involvement

Correct answer: 4. Contralateral posterior column involvement

Explanation: . *The sensations that are transmitted only in dorsal and dorsolateral columns-kinesthetic and position sensations,vibration sensation, discrete localization and 2 point discrimination are lost on the side of transection because fibers in this column do not cross to opposite side until they reach medulla Brown-Sequard syndrome is characterized by loss of motor function (i.e. hemiparaplegia), loss of vibration sense and fine touch, loss of proprioception (position sense), loss of two-point discrimination, and signs of weakness on the ipsilateral (same side) of the spinal injury. ref Harrison20th edition pg 2700